Aldosterone is known to cause sodium retention. Its Na+ retaining / action is exerted on which part of the nephron?
1. Proximal convoluted tubule
2. Ascending limb of loop of Henle
3. Collecting ducts
4. Early distal convoluted tubule

Correct answer: 3. Collecting ducts

Explanation: (Ref: Katzung 10/e p240) Aldosterone is the principal mineralocorticoid. It stimulates the reabsorption of Na+ and excretion of K+ and H+ by its action on late distal tubules and collecting ducts.